If a Panchayat is dissolved, elections are to be held within -
1. 1 month
2. 3 months
3. 6 months
4. 1 year

Correct answer: 3. 6 months

Explanation: The panchayati Raj is a 3 tier structure of rural local self government in India,linking the village to the district.The three institutions are Panchayat-at the village level Panchayat samiti- at the block level Zilla parishad-at the district level (refer pgno:881 park 23 rd edition)